Delayed tuberculin test response is due to-
1. B lymphocytes
2. T lymphocytes
3. Monocytes
4. Histiocytes

Correct answer: 2. T lymphocytes

Explanation: Tuberculin test is type IV hypersensitivity reaction. Delayed or cell mediated hypersensitivity is a cell mediated response. The antigen activates specifically sensitised CD4 & CD8 T lymphocytes leading to the secretion of lymphokines and phagocyte accumulation. Reference : Anathanarayan & paniker's 9th edition, pg no: 162